Splaying and cupping of the'metaphysis is seen in :
1. Rickets
2. Scurvy
3. Paget's disease
4. Lead poisoning

Correct answer: 1. Rickets

Explanation: A i.e. Rickets